A male 45 years old presents to the dental clinic with pain in lower back tooth region. Intraoral examination reveals carious 36. Root canal treatment done and metal ceramic crown has to be placed. Dentist makes an impression. All of the following are the properties of the material except:
1. Sufficiently fluid to adapt to the oral tissues
2. Viscous enough to be contained in a tray
3. Undergoes distortion or tearing when removed from the mouth
4. Biocompatible

Correct answer: 3. Undergoes distortion or tearing when removed from the mouth

Explanation: To produce accurate replicas of intra- and extraoral tissues, the impression materials should be:

Sufficiently fluid to adapt to the oral tissues.
Viscous enough to be contained in a tray.
Able to transform (set) into a rubbery or rigid solid in the mouth in a reasonable time (less than 7 min). 
Resistant to distortion or tearing when removed from the mouth.
Dimensionally stable long enough to allow one or more casts to be poured.
 Biocompatible.
 Cost-effective in terms of time as well as the expense of the associated processing equipment.

Key Concept:
The impression material should be resistant to distortion or tearing when removed from the mouth.
Reference: Phillips’ science of dental materials / Kenneth J. Anusavice, Chiayi Shen, H. Ralph Rawls.—12th ed.Page no 152